Not a feature of Riboflavin deficiency
1. Angular Stomatitis
2. Magenta Coloured tongue
3. Peripheral Neuropathy
4. Sore throat

Correct answer: 3. Peripheral Neuropathy